Best stain for cryptococcal capsule -
1. Gram stain
2. India ink preparation
3. Giemsa stain
4. Methanamine-silver stain

Correct answer: 2. India ink preparation

Explanation: Ans. is 'b' i.e., India Ink preparation * C. neoformans is best demonstrated in CSF by direct microscopy. The capsule is seen as a clear halo around the yeast cells in unstained wet preparations of CSF mixed with a drop of India ink or nigrosine. Methenamine silver stain would be the best choice for a tissue sample.